Storiform Growth pattern is seen in
1. Malignant fibrous histiocytoma
2. Solitary fibrous tumour
3. Dermatofibrosarcoma protuberans
4. All of the above

Correct answer: 4. All of the above

Explanation: Storiform Growth

Malignant fibrous histiocytoma
Dermatofibrosarcoma protuberans (DFSP)(best representative of this group)
Other fibrohistiocytic tumors
Occasional leiomyosarcomas
Some examples of malignant peripheral nerve sheath tumor
Occasional synovial sarcomas
Solitary fibrous tumor